Following amputation of the coronal portion of the pulp
of an immature permanent first molar the stump should
be capped with:
1. Formocresol
2. Calcium chloride
3. Thymol zinc oxide
4. Calcium hydroxide

Correct answer: 4. Calcium hydroxide